Function of endonucleases:-
1. Cut DNA at specific DNA sequences
2. Enhancers
3. To find out antibiotic resistances
4. To point out the coding regions

Correct answer: 1. Cut DNA at specific DNA sequences

Explanation: Endonuclease Exonuclease Cut in between the DNA sequence Cut from the sides either from 5' or from 3' side Cut ds DNA Cut ss & ds DNA